The process of destroying all microbes including spores is called :
1. Disinfection
2. Antisepsis
3. Asepsis
4. Sterilization

Correct answer: 4. Sterilization